Which of the following hepatitis virus is transmitted by fecal-oral route?
1. HAV
2. HBV
3. CHV
4. HDV

Correct answer: 1. HAV

Explanation: Ans. is 'a' i.e., HAV